Typical appearance of Tumour cells and Macrophages on Histological section indicate
1. ALCL
2. CLL
3. Diffuse large B cell lymphoma
4. Burkitt's lymphoma

Correct answer: 4. Burkitt's lymphoma

Explanation: Burkitt lymphoma (Appearance: Starry-sky pattern)